In a patient on cisplatin therapy, which of the following diuretics would be preferred ?
1. Mannitol
2. Acetazolamide
3. Thiazide
4. Furosemide

Correct answer: 1. Mannitol